A 45 year old female patient comes to the clinic for routine general checkup. She is a known diabetic and is on oral hypoglycaemic drug (Gliconil). On general examination truncal obesity is seen. The agent used in the treatment of this patient acts by inhibiting which of the following ?
1. 3-KetoacylCoA thiolase
2. HMG-CoA lyase
3. CPT-I
4. 3-hydroxyacyl-CoA dehydrogenase

Correct answer: 3. CPT-I

Explanation: The sulfonylurea drugs (glyburide  and tolbutamide), used in the treatment of type 2 diabetes mellitus, reduce fatty acid oxidation and, therefore, hyperglycemia by inhibiting CPT-I.
Inherited defects in the enzymes of β-oxidation and ketogenesis also lead to nonketotic hypoglycemia, coma, and fatty liver. Defects are known in long- and short-chain 3-hydroxyacyl-CoA dehydrogenase (deficiency of the long-chain enzyme may be a cause of acute fatty liver of pregnancy). 3-KetoacylCoA thiolase and HMG-CoA lyase deficiency also affect the degradation of leucine, a ketogenic amino acid.
CPT denotes Carnitine palmitoyltransferase.
Reference: HARPERS ILLUSTRATED BIOCHEMISTRY30th ed Page no 231